Decreased erythropoietin levels are seen in:
1. End stage renal disease
2. Heart failure
3. Polycytic kidney disease
4. Advanced Liver failure

Correct answer: 1. End stage renal disease

Explanation: Ans: A (End stage renal disease) Ref: Harrison's Principles of Internal Medicine, 18th ed.Explanation:End-stage renal disease is replaced by the term stage 5 CKD (Chronic kidney disease)."The primary cause in patients with CKD is insufficient production of erythropoietin (EPO) by the diseased kidneys " Ref: Harrison.Causes of Anemia in CKDRelative deficiency of erythropoietinDiminished red blood cell survivalBleeding diathesisIron deficiencyHyperparathvroidism/bone marrow fibrosisChronic inflammationFolate or vitamin B12 deficiencyHemoglobinopathyComorbid disease